The trapezoid body is concerned with
1. Pain and temperature
2. Hearing
3. Touch and pressure
4. Proprioception

Correct answer: 2. Hearing

Explanation: Trapezoid body is a trapezium-shaped mass of white matter lying in the anterior part of tegmentum, posterior to basilar part of pons.It is formed by decussation of transversely running fibres arising from cochlear nuclei of both sides before it reaches the superior olivary nucleus. This decussation is believed to help in localization of sound.(Ref: Vishram Singh textbook of clinical neuroanatomy second edition pg 80)